Drug whose long term use effects can closely mimic schizophrenia is
1. Alcohol
2. Amphetamines
3. Opioids
4. MDMA

Correct answer: 2. Amphetamines

Explanation: Long term use of amphetamines is known to cause schizophrenia